Acrylic resins were first introduced as a denture base material in
1. 1925
2. 1937
3. 1951
4. 1956

Correct answer: 2. 1937